Immune complexes mediated necrosis is of which type?-
1. Coagulative necrosis
2. Liquefactive necrosis
3. Caseous necrosis
4. Fibrinoid necrosis

Correct answer: 4. Fibrinoid necrosis

Explanation: Robbins and Cotran pathologic basis of disease South Asia edition. *fibrinoid necrosis is a special form of necrosis usually seen in immune reaction involving blood vessels.this pattern of necrosis typically occurs when complexes of antigen and antibody are deposited in the wall of arteries.